Which of the following should be the ventilator settings for tidal volume in a patient with ARDS?
1. Tidal volume 10-12 ml/kg
2. Tidal volume 8-10 ml/kg
3. Tidal volume 5-7 ml/kg
4. Tidal volume 4 ml/kg

Correct answer: 3. Tidal volume 5-7 ml/kg

Explanation: Ans. is'c'i.e., Tidal Volume 5-7 ml/kg"Patients with acute lung injury or acute respiratory distress syndrome should be mechanically ventilated with tidal volumes of 6 mLkg of ideal body weight.